Results of a test were given as very satisfied, satisfied, dissatisfied, it represents -
1. Nominal scale
2. Ordinal scale
3. Interval scale
4. Ratio scale

Correct answer: 2. Ordinal scale

Explanation: In this question, data has been placed into categories, i.e. very satisfied, satisfied and dissatisfied.
So, an ordinal scale should be used.